Pitting of direct filling gold usually results from
1. Using contaminated gold foil
2. Poor finished preparation
3. Improper stepping of condenser point
4. using small condenser point

Correct answer: 3. Improper stepping of condenser point